Which of the following amino acids is involved in the synthesis of thyroxine ?
1. Glycine
2. Methionine
3. Threonine
4. Tyrosine

Correct answer: 4. Tyrosine

Explanation: Ans:D.)Tyrosine. Specialized products from amino acidsAmino acid ProductGlycine : Creatine, glutathione, heme, purines, conjugated bite acidsTyrosine : Thyroxine, epinephrine, nor epinephrine, dopamine, melaninTryptophan : NAP, NADP, serotonin, melatoninMethionine : Creatine, epinephrine, poiyaminesCysteine : Glutathione, taurine, co enzyme-A, active sulfateHistidine : HistamineArginine : Creatine , nitric oxideLysine : CarnitineGlutamate : GABA, glutathione, gamma- carboxy glutamateGlutamine : Purines, pyrimidines, amino sugarsAspaate : Purines, pyrimidines,Serine : Phosphatidyt serine, sphingomyelins, cholineb-Alanine : Coenzyme-A